Midazolam dose in children is (through Im)
1. 0.5 mg/kg
2. 0.25 mg/kg
3. 0.1 mg/kg
4. 2.5 mg/kg

Correct answer: 3. 0.1 mg/kg